Multi drug resistant tuberculosis is resistance to?
1. INH & Pyrizinamide
2. INH & Rifampicin
3. Rifampicin & Pyrizinamide
4. Resistance to all

Correct answer: 2. INH & Rifampicin

Explanation: ANSWER: (B) INH & RifampicinREF: Davidson's 21st edition Chapter no 19 page no 695Repeat Medicine 2013 Session 1MDR TB is defined as resistance to at least rifampicin & isoniazid with or without other drug resistance.Extensively drug resistant TB is defined by resistance to at least rifampicin & isoniazid in addition to any quinolone & at least one injectable second line agent